True about radiological features of Neurofibromatosis type 1 is all except:
1. Dural ectasias
2. Empty orbit sign
3. Encephalotrigeminal angiomatosis
4. Superior rib notching

Correct answer: 3. Encephalotrigeminal angiomatosis

Explanation: Ans. C. Encephalotrigeminal angiomatosisEncephalotrigeminal angiomatosis is synonymous with Sturge Weber syndrome, which is characterized by venous angiomas, Port wine stain and tram track gyral calcification in cerebrum.